All of the following are clinical features of myxoma, EXCEPT:
1. Fever
2. Clubbing
3. Hypertension
4. Embolic phenomenon

Correct answer: 3. Hypertension

Explanation: Myxomas are benign cardiac tumors. Most commonly it arise from the endocardial surface of the left atrium, and with a stalk it is attached to the interatrial septum close to the fossa ovalis. Myxomas present with obstructive symptoms and signs, and may be sudden in onset or positional in nature, owing to the effects of gravity on tumor position. Patients presents with peripheral or pulmonary emboli, fever, weight loss, cachexia, malaise, arthralgias, rash, digital clubbing, raynaud's phenomenon, hypergammaglobulinemia, anemia, polycythemia, leukocytosis, elevated ESR, thrombocytopenia and thrombocytosis. Ref: Harrisons Internal Medicine, 18th Edition, Page 1979 ; CURRENT Diagnosis and Treatment: Cardiology By Michael H. Crawford, 3rd Edition, Chapter 30